A patient presents with zo11inger-Ellison syndrome due to gastrinoma. He has two bleeding ulcers and diarrhoea. A drug that irreversibly inhibits the H+/K+ ATPase in gastric parietal cells is:
1. Cimetidine
2. Cisapride
3. Glycopyrrolate
4. Omeprazole

Correct answer: 4. Omeprazole

Explanation: that react covalently with SH groups of the H+K+ATP ase enzyme and inactivate it irreversibly ESSENTIALS OF MEDICAL PHARMACOLOGY SEVENTH EDITION KD TRIPATHI PG NO 651